Extracellular adenosine is increased by which of the following DMARDs?
1. Leflunomide
2. Sulphasalazine
3. Methotrexate
4. Hydroxychloroquine

Correct answer: 3. Methotrexate

Explanation: Methotrexate: Methotrexate inhibits an enzyme 5-aminoimidazole-4-carboxamide ribonucleotide (AICAR) transformylase leading to accumulation of AICAR, which blocks adenosine deaminase. Thus adenosine accumulates and it decreases inflammation by acting on adenosine receptors.